Which one of the following is not a feature of congenital hypertrophic pyloric stenosis
1. More common in males
2. Projectile vomiting
3. Diarrhea
4. Malnutrition

Correct answer: 3. Diarrhea

Explanation: Congenital hypertrophic pyloric stenosis is a proximal type of intestinal obstruction, so it results in absolute constipation in which neither flatus or faeces is passed. Reference SRB 5 th edition page no:821